Most common site of pancreatic cancer is -
1. Head of pancreas
2. Neck of Pancreas
3. Tail of Pancreas
4. Body of pancreas

Correct answer: 1. Head of pancreas

Explanation: Ans. is 'a' i.e., Head of pancreas o Pancreatic cancer has a very bad prognosis - with a 5-year survival of only 5%.o Only possible effective t/t is complete surgical resection.o Such curative resection is possible only in 10-15% of patients (usually those individuals with a tumor in the pancreatic head) The 5 year survival rate following such resection is only 10%